The predominant fibre groups affected in the early lesion of gingivitis are:
1. Circular and dentogingival
2. Circular and horizontal
3. Circular and alveolar crest
4. Circular and transseptal

Correct answer: 1. Circular and dentogingival